The procedure of choice for the evaluation of aortic aneurysm is -
1. Ultasonography
2. Computed tomography
3. Magnetic resonance imaging
4. Arteriography

Correct answer: 2. Computed tomography

Explanation: Ans. is 'b' i.e. Computed tomography "CT is the most precise test for imaging aortic aneurysm" - Sabiston 'As a preoperative scanning tool, CT scan is the gold standard. Angiography has largely been replaced by contrast CT scanning" - Schwartz